Foreign body from trachea most common goes to right bronchus due to -
1. Right bronchus shallow
2. Wider & in continuous line with trachea
3. Right bronchus is longer
4. Right bronchus is horizontal

Correct answer: 2. Wider & in continuous line with trachea

Explanation: Ans. is 'b' i.e., Wider & in continuous line with trachea o Trachea bifurcates at Carina (at Lower border of T4 vertebra at T4-T5 disc space) into right and left principal (primary) bronchi.o Right principal bronchus is wider, shorter (2-5 cm long), and more vertical in the line of trachea (25deg with median plane).o Therefore a foreign body is most likely to lodge in the right bronchus.